Scrotal swelling non reducible but disappears on lying overnight and reappears slowly over day time is:
1. Congenital hydrocele
2. Varicocele
3. Indirect hernia
4. Sliding hernia

Correct answer: 1. Congenital hydrocele

Explanation: Ans. (a) Congenital hydroceleRef Bailey and Love 27th Edition, Page 1503* Congenital hydrocele with patent Processus vaginalis has a very narrow opening to peritoneal cavity and drains into the cavity overnight and reappears as the boy wakes up and starts walking. This effect is known as INVERTED INK BOTTLE effect- Specific for Congenital hydrocele.